Subterminal spores are found in
1. Clostridium perfringens
2. Clostridium tetani
3. Clostridium difficile
4. Clostridium tertium

Correct answer: 1. Clostridium perfringens

Explanation: The shape and position of spores vary in different species and these are of use in identifying and classifying clostridia.subterminal spores are seen in clostridium perfringens,the bacillus appearing club shaped Ref:anantnarayan and paniker's microbiology 10th edition